Minimum needs programme includes all except
1. Rural water supply
2. Nutrition
3. Adult education
4. Sanitation

Correct answer: 4. Sanitation

Explanation: Ref:Park's Textbook of Preventive and Social Medicine 25th Ed Pg.no.519